In men LH controls secretion of ?
1. Inhibin
2. AMH
3. Testosterone
4. ABP

Correct answer: 3. Testosterone

Explanation: Ans. is c i.e., Testosterone GonadotropinsGonadotropins, as the name suggests, are tropic for gonads. The gonadotropins are FSH and LH.Follicle stimulating hormone (FSH) stimulates follicular cells in female to promote the development of ovarian follicle and subsequent secretion of estrogen. In males, FSH stimulates the sertoli cells of the testis and thereby promotes spermatogenesis.Leutinizing hormone (LH) stimulates the development of corpus luteum and the secretion of mainly progesterone and some estrogen by it. In males, LH stimulates the leyding cells (interstitial cells) to secrete testosterone. That is why LH is also called interstitial cell stimulating hormone (ICSH).